Earliest ophthalmic finding in Diabetes mellitus retinopathy
1. Cotton wool spots
2. Micro-aneurysm
3. Flame shaped haemorrhage
4. Hard exudate

Correct answer: 2. Micro-aneurysm

Explanation: (Microaneurysm) (260- Khurana 4th) (295-P)Microaneurysms in the macular area (The earliest detectable lesions)Ophthalmic features of Non proliferative diabetic retinopathy* Micro aneurysm (Earliest detactable lesions)* Retinal haemorrhages both deep {dot and blot haemorrhages) and superficial haemorrhages {flame-shaped)* Hard exudates - yellowish- white waxy looking patches* Retinal oedema* Cotton - wool spots (If >8, there is high risk of developing PDR)* Venous abnormalities - beading, looping and dilatation* Intraretinal microvascular abnormalities (IRMA)**Hall mark of proliferative diabetic retinopathy (PDR) is the occurrence of neovascularization** Moderate loss of vision in DM is due - Macular oedema* Earliest changes of background DR-characteristically effect the small blood vessels. Small dot and blot haemorrhages are common and degeneration of the vessel walls leads to the development of micro aneurysm